Which of the following Is not an indication for surgery in BPH
1. Chronic urine retension
2. Multiple UTI
3. B/L hydronephrosis
4. IPSS Score - 8

Correct answer: 4. IPSS Score - 8

Explanation: Indications of prostate surgery in BPH - Acute or Chronic urine retension
Multiple UTI
B/L hydronephrosis
> 1 episode of hematuria
Bladder divertuli.